Functional cast bracing not used in fracture of -
1. Humerus
2. Tibia
3. Ulna
4. Thoracolumbar spine

Correct answer: 4. Thoracolumbar spine

Explanation: Treatment of thoraco lumbar spinal injuries include, Beds- special beds are used to avoid pressure sores. Brace- avoid flexion by 3 point fixation. Decompression and stabilisation. In this case functional cast bracing is not useful. REF:Apley 's system of orthopaedics- 9th edn - pg no 811.